Following are the laboratory tests for the diagnosis of vestibular dysfunction except
1. Electronystagmography
2. Optokinetic test
3. Galvanic test
4. Gelle's test

Correct answer: 4. Gelle's test

Explanation: Gelle's test compares the intensity of bone-conducted tuning fork sound without and with raising pressure on the tympanic membrane with Siegel's speculum. It's a test of bone conduction and examines the effect of increased air pressure in ear canal on the hearing. (Ref: Diseases of EAR, NOSE and THROAT by PL DHINGRA; 6TH Edition; Page no 22,447)